Foot drop is caused due to injury to?
1. Common peroneal nerve
2. Tibial Nerve
3. Femoral Nerve
4. Obturator Nerve

Correct answer: 1. Common peroneal nerve

Explanation: Foot drop = it occurs due to injury to common peroneal nerve which usually gets injured at the neck of fibula. Femoral nerve injury - unable to extend the knee actively.Tibial nerve injury - unable to plantar flex the ankle or foot and no sensation over the sole and part of calf.